First commissure to develop
1. Corpus callosum
2. Anterior commissure
3. Hippocampus
4. None of the above

Correct answer: 2. Anterior commissure

Explanation: The anterior commissure,connecting the archipallia(olfactory bulbs,piriform area and anterior parts of temporal lobes)of the two sides. REF.B D Chaurasia's Human Anatomy vol.3,fifth edition,pg.419